Among the following varnish Which of the following has flouride concentration less than duraphat but having equivalent efficacy:
1. Duraflour
2. Carex
3. Flour protector.
4. None of the above.

Correct answer: 2. Carex

Explanation: Flouride varnish was first developed in Europe by Schimdt. They maintain the fluoride ions in intimate contact with enamel for longer periods. The two commonly used varnishes are –

Duraphat: It is the first flouride varnish and contains 22600 ppm fluoride as NaF in a neutral colophonium base (NaF varnish containing 2.26% fluoride in organic lacquer)
Fluor Protector (Fluoride concentration is about 7000 ppm or 0.70%)
Carex: Contains a lower fluoride concentration than Duraphat--(1.8%  fluoride) and has efficacy equivalent to that of Duraphat.
Duraflour - 22.6 mg/ml.

Contains NaF in alcoholic suspension of natural resins with xylitol as sweetening agent.

Cavity shield: 5% NaF in resinous base.